Nerve supply of temporalis muscle:
1. VIII cranial nerve
2. V cranial nerve
3. VII cranial nerve
4. II cranial nerve

Correct answer: 2. V cranial nerve